Trichotillomania is
1. Irresistable desire to set fire
2. Irresistable desire to steal things
3. Compulsive hair pulling
4. Pathological gambling

Correct answer: 3. Compulsive hair pulling

Explanation: HABIT AND IMPULSE DISORDERS This category includes disorders such as pathological gambling, pyromania, kleptomania, trichotillomania, and intermittent explosive disorder. The disorders in this heterogeneous group are characterised by impulsive behaviour which the patient cannot resist or control. There may be a feeling of release of tension by doing the act and a feeling of guilt after the act is overTrichotillomania (compulsive hair-pulling) is characterised by noticeable hair loss caused by person's persistent and recurrent failure to resist impulses to pull out hair. There is an intense urge to pull out hair with mounting tension before the act and a sense of relief afterwards. There is no pre-existent skin lesion or inflammation, and hair pulling is not secondary to any delusion or hallucination. Ref: A sho textbook of Psychiatry.Niraj Ahuja.edition 7.Pg no:119